Antral obstruction with vomiting is NOT characterised by:
1. Hypokalemia
2. Hypochloremia
3. Acidosis
4. Hyponatremia

Correct answer: 3. Acidosis

Explanation: Repeated vomiting leads to hypochloremic, hypokalemic metabolic alkalosis. Acidosis is not seen. Ref: Schwartz 9/e, Page 1426; Nelson 17/e, Page 1229.